All of the following are true about Listeria except -
1. Transmitted by contaminated milk
2. Gram negative bacteria
3. Cause abortion in pregnancy
4. Causes meningitis in neonates

Correct answer: 2. Gram negative bacteria